Glycosylated haemoglobin reflects the mean blood glucose level of previous
1. 15 days
2. 1 month
3. 3 months
4. 6 months

Correct answer: 3. 3 months